All of the following are polar amino acids, EXCEPT:
1. Isoleucine
2. Lysine
3. Arginine
4. Histidine

Correct answer: 1. Isoleucine

Explanation: Nonpolar amino acids (eg, Leu, Ile) migrate the farthest as they spend the greatest proportion of their time in the mobile phase in chromatography. Polar amino acids (eg, Glu, Lys) travel the least distance from the origin as they spend a high proportion of their time in the stationary phase. Ref: Kennelly P.J., Rodwell V.W. (2011). Chapter 3. Amino Acids & Peptides. In D.A. Bender, K.M. Botham, P.A. Weil, P.J. Kennelly, R.K. Murray, V.W. Rodwell (Eds), Harper's Illustrated Biochemistry, 29e.